True about PCR is
1. Amplification of a target sequence of DNA
2. Uses thermolablie enzyme
3. Less sensitive techinique
4. Uses one primer

Correct answer: 1. Amplification of a target sequence of DNA

Explanation: The PCR is a method of amplifying a target sequence of DNA. PCR provides a sensitive, selective, and extremely rapid means of amplifying any desired sequence of DNA. Specificity is based on the use of two oligonucleotide primers that hybridize to complementary sequences on opposite strands of DNA and flank the target sequence. DNA synthesis is catalyzed by a heat-stable DNA polymerase purified from one of a number of different thermophilic bacteria, organisms that grow at 70degC to 80degC. Thermostable DNA polymerases withstand short incubations at over 90deg, temperatures required to completely denature DNA. These thermostable DNA polymerases have made automation of PCR possible.DNA sequences as short as 50 to 100 bp and as long as 10 kb can be amplified by PCR. Twenty cycles provide an amplification of 106 (ie, 220) and 30 cycles, 109 (230). Each cycle takes <=5 to 10 minutes so that even large DNA molecules can be amplified rapidly. The PCR allows the DNA in a single cell, hair follicle, or spermatozoon to be amplified and analyzed. The PCR is also used (1) to detect infectious agents, especially latent viruses; (2) to make prenatal genetic diagnoses; (3) to detect allelic polymorphisms; (4) to establish precise tissue types for transplants; and (5) to study evolution, using DNA from archeological samples (6) for quantitative RNA analyses after RNA copying and mRNA quantitation by the so-called RT-PCR method (cDNA copies of mRNA generated by a retroviral reverse transcriptase) or (7) to score in vivo protein-DNA occupancy using chromatin immunoprecipitation assays.Ref: HArper's Biochemistry; 30th edition; Page no: 459